Which of the following is the most likely diagnosis in a patient with tinnitus, loss of balance, hearing loss and a CP angle tumor on imaging -
1. Acoustic neuroma
2. Glomus tumor
3. Cholesteatoma
4. Osteoma

Correct answer: 1. Acoustic neuroma

Explanation: Ans. is 'a' i.e., Acoustic neuroma * A coustic neuroma is the most common CP angle tumor.* CP angle tumor with loss of balance, tinnitus and hearing loss - most probable diagnosis is acoustic neuroma.* Clinical features of acoustic neuroma have been explained in NEET Dec-16